Gold Standard investigation for GERD-
1. 24 hour pH recording
2. Endoscopy
3. Ultrasound
4. Magnetic resonance imaging

Correct answer: 1. 24 hour pH recording

Explanation: Ans. is 'a' i.e., 24 hour pH recording Diagnostic measurement in GERD* 24- hour pH recording is the 'gold standard' for diagnosis of GERD* TILOSRs are the most important manometric findings in GERD* The length and pressure of the LOS are also important